In Inferior shoulder dislocation nerve most common injured is:
1. Axillary
2. Median
3. Ulnar
4. Radial

Correct answer: 1. Axillary

Explanation: ANSWER: (A) AxillaryREF: Nerve and Vascular Injuries in Sports Medicine, By Venu Akuthota, Stanley A. Herring, page 92"Injury to the axillary nerve is most commonly due to traumatic event causing traction at the shoulder. This includes glenohumeral dislocation and humeral fracture. The incidence of axillary nerve damage is reported to be 19-55 % in anterior dislocation and even more (60 %) in inferior dislocation"